In cervical spondylosis the disc space narrowing is most often evident on x-ray at
1. C3-C4
2. C4-C5
3. C5-C6
4. C6-C7

Correct answer: 3. C5-C6

Explanation: Cervical disk herniation is usually posterolateral near the lateral recess and intervertebral foramen and is most commonly encountered at C5-C6 level.